Diffuse mesothelioma is seen with –
1. Asbestos
2. Arsenic
3. Tobacoo use
4. TB

Correct answer: 1. Asbestos